Hirsutism is caused by which drug :
1. Minoxidil
2. Dactinomycin
3. Cycloserine
4. Valsartan

Correct answer: 1. Minoxidil

Explanation: Minoxidil is a potassium channel opener, useful as an antihypertensive drug. It can cause hirsutism in females and is used for the treatment of alopecia in males.